Drug efficacy refers to:
1. Effectiveness of drug in life threatening conditions
2. The maximal intensity of response that can be produced by the drug
3. The dose of the drug needed to produce half maximal effect
4. The minimum dose of the drug needed to produce toxic effect

Correct answer: 2. The maximal intensity of response that can be produced by the drug